A30-year-old male had severely itchy popular vesicular lesions on extremities knee, elbows and buttocks for one year. Direct immunofluorescence staining of the lesions showed IgA deposition at dermo epidermal junction. The most probable diagnosis is:
1. Dermatitis herpetiform
2. Pemphigus vulgaris
3. Nummular eczema
4. Bullous pemphigoid

Correct answer: 1. Dermatitis herpetiform

Explanation: Ans. a. Dermatitis herpetiformDermatitis herpetiformis is also known as duhring -Brocq disease